Steroid receptors at
1. Cellular membrane
2. Cytoplasm
3. Nucleus
4. All of the above

Correct answer: 4. All of the above

Explanation: Steroid hormone receptors are found in the nucleus, cytosol, and also on the plasma membrane of target cells. They are generally intracellular receptors (typically cytoplasmic or nuclear) and initiate signal transduction for steroid hormones which lead to changes in gene expression over a time period of hours to days. The best-studied steroid hormone receptors are members of the nuclear receptor subfamily 3 (NR3) that include receptors for estrogen and 3-ketosteroids. In addition to nuclear receptors, several G protein-coupled receptors and ion channels act as cell surface receptors for certain steroid hormones.Ref: Ganong's review of medical physiology- 24th edition; page no- 302